In glycogen metabolism, amylo 1-6-glycosidase acts on glycogen to produce?
1. Glucose-l-phosphate
2. Glucose-6-phosphate
3. Maltose
4. Glucose

Correct answer: 4. Glucose

Explanation: Ans. d (Glucose); (Ref Harper, Biochemistry, 26th ed., 145; Satyanaryan, Biochemistry, 2nd ed., 273)GLYCOGEN# Glycogen contains alpha-1-4 and alpha-1-6 links.# Degradation of glycogen to glucose involves 4 enzyme reactions:- Phosphorylase, which hydrolyses alpha-1-4 bond- Amylo 1-6-glycosidase, a debranching enzyme that removes alpha-1-6 bond to produce free glucose in muscle.- Phosphoglucomutase, which converts glucose-1-phosphate to glucose-6-phosphate.- Glucose-1-phosphatase, which converts glucose-6-phosphate to glucose.# Thus, amylo 1-6-glycosidase (debranching enzyme) breaks alpha-1-6 bond at branch with single glucose residue and releases free glucose.